Water tree phenomenon is seen in
1. Generation 1 DBA
2. Generation 4 DBA
3. Generation 6 DBA
4. Generation 7 DBA

Correct answer: 4. Generation 7 DBA

Explanation: Water tree phenomenon is microscopic appearance in cured layer of dentin adhesive due to incomplete water evaporation. Seen in 7th generation Dentin Bonding Agent.